What lies at midinguinal point?
1. Deep inguinal ring
2. Superficial inguinal ring
3. Femoral artery
4. Saphenous vein

Correct answer: 3. Femoral artery

Explanation: MID INGUINAL POINT Midpoint of line joining anterior superior iliac spine to pubic symphysis. Femoral artery, continuation of external iliac artery, begins behind the inguinal ligament at the midinguinal point. Deep ring- oval opening in fascia transversalis.1.25 cm above mid inguinal point. Superficial ring: triangular gap in external oblique aponeurosis. Located just above and medial to pubic tubercle. Saphenous vein.:-Thigh- it inclines forward to reach the saphenous opening where it pierces the cribriform fascia, and opens into femoral vein. {Reference: BDC 6E}